Schober's sign is for :
1. Flexion of lumbar spine
2. Chest expansion
3. Pain with motion of hip
4. Neck pain and stiffness

Correct answer: 1. Flexion of lumbar spine

Explanation: A i.e. Flexion of lumber spine Schober's test is measure of flexion on lumber spineQ. This test is done in ankylosing spondylitisQ